All have antioxidant property except
1. Catalase
2. Glutathione peroxidase
3. Phosphorylase
4. Superoxide dismutase

Correct answer: 3. Phosphorylase

Explanation: Although numerous biologically active molecules exist as glycosides in nature, information on the activity, stability, and solubility of glycosylated antioxidants is rather limited to date. In this work, a wide variety of antioxidants were glycosylated using different phosphorylase enzymes. The resulting antioxidant library, containing a/b-glucosides, different regioisomers, cellobiosides, and cellotriose, was then characterized. Glycosylation was found to significantly increase the solubility and stability of all evaluated compounds. Despite decreased radical-scavenging abilities, most glycosides were identified to be potent antioxidants, outperforming the commonly used 2,6-bis(1,1-dimethylethyl)-4-methylphenol (BHT). Moreover, the point of attachment, the anomeric configuration, and the glycosidic chain length was found to influence the properties of these phenolic glycosides